Shape of adult larynx is:
1. Cylindrical
2. Funnel shaped
3. Inverted funnel shape
4. None of the above

Correct answer: 1. Cylindrical

Explanation: Classic teaching has been that the adult larynx is cylindrical and the infant larynx is funnel shaped. Ref: Miller's anesthesia-7th ed , Chapter 82.